Mechanism of action of zeulton is?
1. Inhibits production of IgE
2. Inhibits Lipoxygenase
3. Inhibits Cyclooxygenase
4. Inhibits activity of mast cells

Correct answer: 2. Inhibits Lipoxygenase

Explanation: ANSWER: (B) Inhibits LipoxygenaseREF: Goodman and Gillman s 11th ed page 479LEUKOTRIENE-SYNTHESIS INHIBITORS:The formation of leukotrienes depends on lip oxygenation of arachidonic acid by 5-lipoxygenase. Zileuton is a potent and selective inhibitor of 5-lipoxygenase activity and thus blocks the formation of all 5-lipoxygenase products. Thus, in addition to inhibiting the formation of the cys-LTs, zileuton also inhibits the formation of leukotriene B4 (LTB4), a potent chemotactic autacoidf and other eicosanoids that depend on leukotriene A4 (LTA4) synthesis.Logically, the therapeutic effects of a 5-lipoxygenase inhibitor would include all those observed with the CysLT-receptor antagonists, as well as other effects that may result from inhibiting the formation of LTB4 and other 5-lipoxygenase products.